Cyanide inhibits -
1. Pyrurate kinase
2. Cytochrome C oxidase
3. Enolase
4. None

Correct answer: 2. Cytochrome C oxidase

Explanation: Ans. is 'b' i.e., Cytochrome C oxidase Inhibitors of Electron transport chain (Respiratory chain)o Complex I:- Barbiturates (amobarbital), piercidin A, rotenone, chlorpromazine, guanithidine.o Complex II:- Carboxim TTFA, malonate.o Complex III :- Dimercapro!, BAL. actinomycinA, Naphthyloquinone.o Complex IV(cytochrome c oxidase) Carbon monoxide (CO), cyanide (CN-), H2S, azide (N3-)